Bone marrow aspiration is not indicated in :
1. Thalassemia major
2. Megaloblastic anaemia
3. Idiopathic thrombocytopenic purpura
4. Pure red cell aplasia

Correct answer: 1. Thalassemia major